Definition of hypertrophy is?
1. Increased protein content of the cells
2. Increase in size of cells
3. Increase in number of cells
4. None of the above

Correct answer: 2. Increase in size of cells

Explanation: Ans. is 'b' i.e., Increase in size of cells Hypertrophy* Hypertrophy refers to an increase in the size of cells without an increase in the number, resulting in an increase in the size of tissue. Hypertrophy involves cell enlargement without cell division. So, the hypertrophied organ has just larger cells, but no new cells.Hyperplasia* Hyperplasia refers to an increase in a number of cells without an increase in cell size. It occurs due to cell division and proliferation, in hyperplasia, there is an increase in a number of new cells without an increase in size.